In the bisecting technique, the film is placed
1. Parallel to the tooth
2. As close as possible
3. Parallel to the bisector
4. Perpendicular to the bisector

Correct answer: 2. As close as possible